A young adult male presented with sudden painless loss of vision. He recovered spontaneously within 3 months. Most likely cause of his blindness is :
1. Central serous retinopathy
2. Macular hole
3. Myopic crescent
4. Vitreous haemorrhage

Correct answer: 1. Central serous retinopathy

Explanation: A i.e.Central serous retinopathy